Select true statement regarding succinylcholine
1. Shows fading phenomenon
2. It is a non depolarizing blocker
3. Can be reversed by neostigmine
4. Post-op myalgia is seen

Correct answer: 4. Post-op myalgia is seen

Explanation: Succinylcholine is a depolarizing neuromuscular blocker. A, B,C are the properties of non-depolarizing blocker.